All of the following cause jaundice at birth or within 24 hours EXCEPT
1. Physiological jaundice
2. Hemolytic disease of the newborn
3. Crigler-Najjar syndrome
4. Intrauterine infections (TORCH)

Correct answer: 1. Physiological jaundice

Explanation: Physiological jaundice which represents physiological immaturity of the neonate to handle increased bilirubin production, usually appears between 24-72 hrs.